A 40-year-old chronic alcoholic presented to the OPD with complaints of B/L distal lower limb numbness and paresthesias along with weakness and dizziness. He has a history of stroke in the past. On examination, Characteristic skin lesions were observed Impaired vibration and proprioception Preserved pain and temperature Sensory ataxia Lab findings revealed a low EAST-AC value. Which of the following reactions uses the above deficient vitamin as coenzyme:-
1. Transamination reactions
2. Decarboxylation reactions
3. Deamination reactions
4. All of the above

Correct answer: 4. All of the above

Explanation: This is a case of pyridoxine deficiency. 1st image shows the lesions of seborrheic dermatitis. 2nd image shows the cheilosis. Erythrocyte aspartate aminotransferase (EAST) and the EAST activation coefficient (EAST-AC) are long-term indicators of functional pyridoxine status due to the 120-day life span of erythrocytes. The active form of pyridoxine is PLP (Pyridoxal phosphate). It is used as a coenzyme in reactions like: - Transamination Transsulfuration Decarboxylation Deamination